What is the amount of time required by erupting premolar to move through 1 mm of bone as measured on a bite-wing radiograph?
1. 3-4 months
2. 4-5 months
3. 5-6 months
4. 6-7 months

Correct answer: 2. 4-5 months